The most common histologic type of thyroid cancer is -
1. Medullary type
2. Follicular type
3. Papillary type
4. Anaplastic type

Correct answer: 3. Papillary type

Explanation: Ans. is 'c' i.e., Papillary type [Ref: Schwartz 9/e p1361 (8/e p1417); Harrison 17/e p.2242 (16/e, p.2122)\o "Papillary carcinoma accounts for 80% of ail thyroid malignancies in iodine-sufficient areas and is the predominant thyroid cancer in children and individuals exposed to external radiation." - Schwartzo Incidence of primaiy malignant tumors of thyroid gland (Harrison 17/e)Type of thyroid carcinomaApproximate PrevalencePapillary Carcinoma80-90%Follicular Carcinoma5-10%Medullary Carcinoma10%Anaplastic CarcinomaRareLymphomas1-2%o Also remembery Thyroid carcinoma is the most common malignancy of the endocrine system (Ref: Harrison, 17/e, p 2243)